Drugs causing Pityriasis rosea-like drug eruptions :
1. Cyclosporine
2. Steroids
3. Gold
4. Methotrexate

Correct answer: 3. Gold

Explanation: The best-known drug cause of a pityriasiform rash is gold therapy. Drugs causing pityriasis rosea-like reactions. Acetylsalicylic acid Griseofulvin Allopurinol Hydrochlorothiazide Isotretinoin Bismuth Methoxypromazine Barbiturates Metronidazole b-Blockers Nimesulide